Oligohydramnios is seen in :
1. Renal agenesis
2. Oesophageal atresia
3. Exomphalos
4. Neural tube defect

Correct answer: 1. Renal agenesis

Explanation: Ans. is a i.e. Renal agenesis Oligohydramnios is a condition where liquor amnii is deficient (< 200 ml at term). Sonographically it is defined as : Absence of amniotic fluid pocket.deg Maximum vertical diameter of amniotic fluid pocket less than 2 cm.deg Amniotic fluid index less than 5 cms.deg Causes of oligohydramnios : Mnemonic : Dil Mein Ppaar (read as pyaar) Dil - Drug( Prostaglandin Synthetase inhibitors and ACE inhibitors). IUGR Leaking of fluid following amniocentesis or chorionic villus sampling. Mein - Maternal conditions like hypertension and preeclampsia. Ppaar - Post term pregnancy - Premature rupture of membrane - Abruptio-chronic - Amnion Nodosum.deg - Renal anomalies of fetus(leading to decreased urine production) : Renal agenesisdeg Urethral obstruction (Posterior urethral valve) Prune Belly syndrome Bilateral Multicystic dysplastic kidneys. Also know : Non Renal Fetal anomalies leading to oligohydraminos : Triploidy Thyroid gland agenesis Congenital heart block Skeletal dysplasia Note : Most common complication of Oligohydramnios - Pulmonary hypoplasiadeg.